The design of choice for endodontic microsurgery is the:
1. Sulcular flap.
2. Sulcular partial-thickness flap.
3. Sulcular full-thickness flap.
4. Envelope flap.

Correct answer: 3. Sulcular full-thickness flap.

Explanation: The design of choice for endodontic microsurgery is the sulcular full-thickness flap
The mucogingival flap or Luebke-Ochsenbein flap is preffered for crowned anterior teeth for esthetic reasons. This flap which includes scalloped horizontal incision provides a guide for meticulous repositioning of the flap.
The first known record for endodontic flaps was by Partsch. He is credited with the Partsch incision or semilunar incision. It is a submarginal curved flap. There is limited surgical access, proor wound healing, and laximum disruption of the blood supply to the adjacent tissues.